Drug contraindicated in uveitis is:
1. Pilocarpine
2. Acetazolamide
3. Atropine
4. Steroids

Correct answer: 1. Pilocarpine

Explanation: Ans. (a) PilocarpineRef: A.K. Khurana 6th ed. /I59-50, Khuranays 4th ed. 146, 47* DOC for acute anterior uveitis: Topical glucocorticoids* 1st line agent: Cycloplegics* In case of uveitis, there is spasm of ciliary muscle and constriction of pupil (miosis). Pilocarpine is a parasympathomimetic agent, which causes further spasm of ciliary muscles and miosis.* NOTE: In case of anterior uveitis, there is irregular constriction of pupil called, festooned pupil.